In salmonolosis disease, isolation is done till
1. Fever subsides
2. Blood culture negative
3. Stool culture negative for three times
4. Spleen subsides

Correct answer: 3. Stool culture negative for three times